Keshan disease is due to deficiency of?
1. Selenium
2. Chromium
3. Zinc
4. Iodine

Correct answer: 1. Selenium

Explanation: Ans (a) Selenium